"Figure of Eight" bandage used commonly in the fracture of
1. Scapula
2. Humerus
3. Clavicle
4. Metacarpals

Correct answer: 3. Clavicle

Explanation: C i.e. Clavicle